Tibialis posterior is inserted in all of the following bones distally, EXCEPT?
1. Navicular bone
2. Intermediate cuneiform
3. Metatarsal 2
4. Talus

Correct answer: 4. Talus

Explanation: Tibialis posterior muscle attaches proximally to the interosseous membrane and the tibia and fibula; distally, it attaches to the navicular bone, all cuneiform bones, and metatarsals 2 to 4. The tibialis posterior muscle inverts and plantarflexes the foot, providing support to the medial arch of the foot during walking. The tibial nerve (L4 and L5) innervates this muscle.